The normal pH of the human blood is which one of the following:
1. 70-72
2. 7.25-7.35
3. 7.36-7.44
4. 7.50-7.55

Correct answer: 3. 7.36-7.44

Explanation: Ans. (c) 7.36-7.44Ref: Harper's Biochemistry 30th edn. 110-13Well I think this one is too simple for an explanation.Also remember pH of urine=4.6-8.0Also KnowValues of pH going above 7.4 is alkalosis and value of pH going below 7.4 is acidosis* pH of Aqueous Humor - 7.2 Conditions arising due to low and high pHLow pHHigh pH* Metabolic acidosis* Respiratory acidosis* Metabolic alkalosis* Repiratory alkalosis